Which of the following drugs shows the phenomenon of vasomotor reversal of Dale after administration of an α adrenergic blocker ?
1. Adrenaline
2. Noradrenaline
3. Isoprenaline
4. All of the above

Correct answer: 1. Adrenaline